Mechanism of action of sodium nitrite in cyanide poisoning
1. Increased blood flow to liver
2. Produces methemoglobinemia
3. Increased blood flow to kidney
4. Increased blood flow to heart

Correct answer: 2. Produces methemoglobinemia

Explanation: Cyanide poisoning:- Nitrates generate methaemoglobin which has high affinity for cyanide radical and forms cyanomethaemoglobin. However, this may again dissociate to release cyanide. Therefore, sodium thiosulfate is given to form Sod. thiocyanate which is poorly dissociable and is excreted in urine. Cytochrome and other oxidative enzymes are thus protected from cyanide. Ref:- kd tripathi; pg num:-545